All are tests done on blood except :
1. Acid phosphatase test
2. Benzidine test
3. Hemochromogen test
4. Teichmann's test

Correct answer: 1. Acid phosphatase test

Explanation: A i.e. Acid phosphatase test Acid phosphatase test is done for detection of seminal stainsQ